All of the following are features of juvenile myoclonic epilepsy, except:
1. Myoclonus on awakening
2. Generalized tonic-clonic seizures
3. Automatism
4. Absence seizures

Correct answer: 3. Automatism

Explanation: Juvenile myoclonic epilepsy is a generalized seizure disorder of unknown cause.Occurs in early adolescence & characterized by bilateral myoclonic jerks that may be single or repetitive, more common after awakening and can be provoked by sleep deprivation.Also experience generalized tonic-clonic seizures, and up to one-third have absence seizures.Complete remission is uncommon but well respond to anticonvulsant medication.Mesial temporal lobe epilepsy (MTLE) is the most common syndrome associated with focal seizures with dyscognitive features shows automatisms.Harrison 19e pg: 2544